Lymph node metastasis is least commonly seen with -
1. Papillary Ca Thyroid
2. Medullary Ca Thyroid
3. Follicular Ca Thyroid
4. All of the above

Correct answer: 3. Follicular Ca Thyroid

Explanation: Follicular Ca metastasizes primarily through the blood and Lymph node metastasis is quite rare.
Lymph nodes are frequently involved in patients with


Papillary
Medullary
Hurthle cell carcinomas and
Anaplastic